Staphylococcus differes from streptococcus by ?
1. Coagulase test
2. Catalase test
3. Phasphatase
4. Gram negative

Correct answer: 2. Catalase test

Explanation: . Coagulase test is used to differentiate the different species of staphylococci (staph aureus, staph. epidermidis). . Catalase test is used to differentiate staphylococci from streptococci. . Coagulase test cannot be used to differentiate streptococci from staphylococci because certain species of staphylococci are coagulase negative (coagulase negative staphylococci) as streptococci. . But you should keep in mind that staphylococcus aureus (not all specises of staphylococci) can be differentiated from streptococci by coagulae test also as staph. aureus is coagulase positive while streptococci are coagulase negative.